Which one of the following type of Amoeba causes meningitis?
1. Dientamoeba
2. Entamoeba
3. Acanthamoeba
4. Iodamoeba

Correct answer: 3. Acanthamoeba

Explanation: (C) Acanthamoeba